Which of the following enzymes does NOT contain Zn?
1. Alcohol Dehydrogenase
2. Arginase
3. Alkaline Phosphatase
4. Carbonic Anhydrase

Correct answer: 2. Arginase

Explanation: Zinc is required for the activity of > 300 enzymes, covering all six classes of enzymes. alcohol dehydrogenase; superoxide dismutase; transferases like RNA polymerase and aspartate transcarbamoylase; hydrolases like carboxypeptidase A and thermolysin; lyases like carbonic anhydrase and fructose-1,6-bisphosphate aldolase; isomerases like phosphomannose isomerase; and ligases like pyruvate carboxylase and aminoacyl-tRNA synthases